The organism most commonly implicated in the causation of subacute bacterial endocarditis is:
1. S. albus
2. S. Aureus
3. S. typhi
4. S. Viridans

Correct answer: 4. S. Viridans